50 years old man present complaints of painful tender mass situated one third of the way between xiphisternum and umbilicus what is the likely diagnosis
1. Omphalocoele
2. Epigastric hernia
3. Spigelian hernia
4. Fibrosarcoma of abdominal walk

Correct answer: 2. Epigastric hernia